The most common sequelae of tuberculous spondylitis in an adolescent is:
1. Fibrous ankylosis
2. Bony-ankylosis
3. Pathological dislocation
4. Chronic osteomyelitis

Correct answer: 2. Bony-ankylosis

Explanation: (b)- The usual outcome of healed tuberculosis in spine is the bony ankylosis and in peripheral joints like Hip and Knee Fibrous ankylosis is seen.